Which of the following in not a part of epithalamus-
1. Pineal body
2. Posterior commissure
3. Trigonum habenulae
4. Geniculate bodies

Correct answer: 4. Geniculate bodies

Explanation: Epithalamus consists of habenular nucleus (lying in habenular trigone), pineal body, habenular commissure, posterior commissures, and stria medullaris thalami.